Thiamine deficiency causes decreased energy production because?
1. It is required for the process of transamination
2. It is co-factor in oxidative reduction
3. It is co-enzyme for transketolase in pentose phosphate pathway
4. It is co-enzyme for pyruvate dehydrogenase

Correct answer: 4. It is co-enzyme for pyruvate dehydrogenase